Plasma cells are constituent of
1. Nervous tissue
2. Muscular tissue
3. Epithelial tissue
4. Connective tissue

Correct answer: 4. Connective tissue